All of the following are true about obstructive sleep apnea syndrome except:
1. Females affected more than males
2. Commonly associated with hypertension
3. Day time sleepiness is seen
4. >5 episodes of apnea per hour

Correct answer: 1. Females affected more than males

Explanation: Ans. a. Females affected more than males